Embgryological development of the human vertebra is from -
1. Somite
2. Endoderm
3. Ectoderm
4. None

Correct answer: 1. Somite